All the following are "head at risk sig (radiological) that correlate positively with results in the outcome of Perthes' disease except
1. Lateral subluxation of the femoral head
2. Speckled calcification lateral to the capital epi
3. Shallow acetabulum
4. Gage sign-a radiolucent 'V' shaped defect. Lateral epiphysis and adjacent metaphysis.

Correct answer: 3. Shallow acetabulum

Explanation: Shallow acetabulum A shallow acetabulum correlates poorly with outcome in congenital dislocation of hip. In addition to a, band d other 'Head at Risk' signs are diffuse metaphyseal reaction and horizontal physis.